Mass treatment is used in following diseases except:
1. Yaws
2. Polio
3. Trachoma
4. Filariasis

Correct answer: 2. Polio

Explanation: MASS TREATMENT - All people in community are administered with drugs whether they have the disease or not. - The mass treatment is used in control Yaws, Pinta, Bejel, Trachoma & Filariasis. - The existence of at least 4-5 cases of latent infection for each clinical case of active disease in the community is rationale for it. - Patients with a latent (incubating) infection may develop disease at any time. In such cases, mass treatment is a critical factor in the interruption of disease transmission.